Which of the following is NOT a water borne parasite:
1. Ascariasis
2. Enterobius
3. Giardiasis
4. Strongyloides

Correct answer: 4. Strongyloides

Explanation: Ans. D i.e. Strongyloides Mode of infection/ entrance of strongyloides stercoralis into the host occurs when a man walks bare-foot on the faecally contaminated soil. The filariform larvae penetrate directly through the skin coming in contact with the soil.